Which is an omega-9 fatty acid ?
1. Arachidonic acid
2. Oleic acid
3. Linolenic acid
4. Cervonic acid

Correct answer: 2. Oleic acid

Explanation: Ans. is 'B i.e., Oleic acid